The support for a removable partial denture is usually:
1. Tooth support
2. Mucosa support
3. Occlusal rest support
4. Tooth and mucosa support

Correct answer: 4. Tooth and mucosa support